Atalanto axial joint is -
1. Pivot joint
2. Bicondylar
3. Ball & Socket
4. Ellipsoid joint

Correct answer: 1. Pivot joint

Explanation: Ans. is 'a' i.e., Pivot joint o There are two important synovial joints involving atlas -i) Atlantoaxial joint - Pivot jointii) Atlantooccipital joint - BicondylarjointClassification of JointsA. Fibrous jointso Lack intervening cartilage and hence have restricted mobility.1. Gomphosis2. Syndesmosis: Dento-alveolar peg: Inferior tibiofibular joint Posterior part of sacroiliac joint Interosseous membrane of forearm3. Schindylesis: Vomer - sphenoidal rostrum junction4. Sutures of the skullB. Cartilagenous jointso These are of 2 types depending on intervening cartilage.I. Primary cartilaginous joints (Synchondrosis/Hyaline cartilage joints)1. Spheno-occipitaljoint2. Growth plate3. Costochondral joint4. 1st chondrostemal jointII. Secondary cartilaginous joints (Symphyses / fibrocartilagenous joints)Fibrocartilage is interposed between bone ends covered with articular hyaline cartilage.All of them occur in midline.1. Symphysis menti2. Pubic symphysis3. Sacrococcygeal joint4. Intervertebral joint5. Manubriostemal joint6. Xiphisternal jointC Synovial jointsI. Uniaxial1. Plane/Flatjoint2 Hinge joints3. Pivotjoint- Acromioclavicular joint Intermetatarsal joints- Elbow joint- Atlantoaxial joint Superior radioulnar jointII. Biaxial1. Bicondylar (condyloid joint)- Knee joint Temporomandibular joint Atlanto occipital joint2. Ellipsoid joint- Wrist joint Metacarpophalangeal joint3. Saddle joint- 1st carpo-metacarpal j oint Sternoclavicular joint Calcaneocuboid joint Anklejoint Incudomalleolar jointIII. MultiaxialBall and socket joint- Shoulder Hip Incudostapedial joint Talo-calcaneo-navicular joint